Of the following which one correlates with isovolumetric contraction phase
1. AV opening and aortic and pulmonary valve closure
2. AV closure and aortic and pulmonary valve opening
3. Both valves are closed
4. Both valves are open

Correct answer: 3. Both valves are closed